Which of the following statements is WRONG about amiodarone ?
1. It is longest acting anti–arrhythmic drug.
2. It has positive ionotropic action.
3. It contains iodine
4. It causes pulmonary fibrosis.

Correct answer: 2. It has positive ionotropic action.